Sound intensity required to elicit stapedial reflex is more than
1. 30 - 45 db
2. 45 - 60 db
3. 70 - 100 db
4. 90 - 120 db

Correct answer: 3. 70 - 100 db

Explanation: The pure tone intensity range to elicit an acoustic reflex is 70 to 100db